Pain of ovarian carcinoma is referred to the following part:
1. Back of thigh
2. Gluteal region
3. Anterior surface of thigh
4. Medial surface of thigh

Correct answer: 4. Medial surface of thigh

Explanation: The most common symptoms of ovarian tumors are abdominal pain and an abdominal mass, acute severe pain, peritoneal irritation, or intra-abdominal hemorrhage can be the presenting sign. The obturator nerve lies on the lateral wall of the pelvis and supplies the parietal peritoneum. Inflammation of the ovaries can cause irritation of the obturator nerve endings, leading to referred pain down the inner side of the thigh. Ref: Clinical Anatomy by Regions By Richard S. Snell, 2011, Page 255.